Incubation period of syphilis is:
1. 10-14 days
2. 30-60 days
3. 9-90 days
4. 3-6 months

Correct answer: 3. 9-90 days

Explanation: Ans. C: 9-90 days Acquired syphilis: - Primary syphilis: incubation period 2-3 weeks (range 9-90 days): local infection - Secondary syphilis: incubation period 6-12 weeks (range 1-6 months): generalised infection - Early latent syphilis: asymptomatic syphilis of less than 2 years duration - Late latent syphilis: asymptomatic syphilis of 2 years or longer duration - Late symptomatic syphilis (tertiary syphilis): cardiovascular syphilis, neurosyphilis, gummatous syphilis Congenital syphilis: - Early congenital syphilis occurs within the first 2 years of life. - Late congenital syphilis emerges in children older than 2 years.